Richter transformation is conversion of?
1. CLL into DLBCL
2. DLBCL into CLL
3. SLL into CLL
4. CLL into SLL

Correct answer: 1. CLL into DLBCL

Explanation: MC B cell NHL : DLBCL CLL/SLL (Small lymphocytic lymphoma) | Richter transformation DLBCL (Diffuse lager B cell Lymphoma) Clinical signs of Richter's transformation include rapid progression in lymphadenopathy and constitutional symptoms including fatigue, night sweats, fever, and weight loss. LDH is usually high. Therapy for DLBCL Richter's transformation usually involves combination chemoimmunotherapy.